Which vitamin deficiency causes pellagra?
1. Vitamin B1
2. Vitamin B2
3. Vitamin B3
4. Vitamin B4

Correct answer: 3. Vitamin B3

Explanation: Ans. is 'c' i.e., Vitamin B3* Pellagra characterised by the three Ds - Diarrhoea, Dermatitis and Dementia is caused by niacin or vitamin B3 deficiency.